Which vessel regulates blood flow?
1. Artery
2. Arterioles
3. Venules
4. Capillaries

Correct answer: 2. Arterioles

Explanation: Ans. b' aerioleDistribution of blood flow is mainly regulated by arteriole, by alteration in their diameter.Increase or decrease the pephenl resistance to blood flow.